All of the following are village level workers under primary health care EXCEPT
1. Village health guide
2. Anganwadi worker
3. Clerks
4. Trained birth attendants

Correct answer: 3. Clerks